Endogenous pyrogens act by -
1. Increasing heat generation
2. Raising thermostat point of hypothalamus
3. Causing vasoconstriction
4. By Non-shivering thermogenesis

Correct answer: 2. Raising thermostat point of hypothalamus

Explanation: Ans. is 'b' i.e., Raising thermostat point of hypothalamus o Bacterial toxins (exogenous pyrogens) stimulate inflammatory cells to secrete pyrogenic cytokines (endogenous pyrogens), e.g. IL-1, TNF-a , and IL-6.o These endogenous pyrogenes stimulate PGE2 release in hypothalamus, which raises temperature set point of hypothalamus to cause fever.Endotoxin inflammationOther pyrogenic stimuli|MonocytesMacrophagesKupffer cells| CytokinasePreoptic area of hypothalamus| ProstaglandinsRaise temperature set point|FeverPathogenesis of fever